Least malignant thyroid cancer is
1. Papillary carcinoma
2. Follicular carcinoma
3. Medullary carcinoma
4. Anaplastic carcinoma

Correct answer: 1. Papillary carcinoma

Explanation: Ans is (a) i.e. Papillary Cancer